Macrosomia is found in all EXCEPT :
1. IDDM
2. Obesity
3. Hydrocephalus
4. Postmaturity

Correct answer: 3. Hydrocephalus

Explanation: Hydrocephalus